Dentin formation begins in
1. Morphogenic stage
2. Organizing stage
3. Terminal phase of organizing stage
4. Terminal phase of formative stage

Correct answer: 3. Terminal phase of organizing stage